The contractile protein of the muscle:
1. Actin
2. Myosin
3. Both
4. None

Correct answer: 3. Both

Explanation: Actin and myosin are known as the contractile proteins of the muscle Ref:Guyton and Hall textbook of medical physiology 12th edition,page number: 86,87